During surgery for aortic arch aneurysm under deep hypothermic circulatory arrest, which of the following anesthetic agent administered prior to circulatory arrest that also provides cerebral protection ?
1. Etomidate
2. Thiopental sodium
3. Propofol
4. Ketamine

Correct answer: 2. Thiopental sodium

Explanation: Thiopental, etomidate and propofol, all three are cerebroprotective. However, thiopental has maximum cerebroprotective action.
"Propofol and etomidate appear to lack the same protective effects as thiopental in focal cerebral ischemia"   ─ Morgan